Quintan fever is caused by-
1. C. burnetti
2. B quintana
3. Rprowazekii
4. Rakari

Correct answer: 2. B quintana

Explanation: Ans. is 'b' i.e., B quintana* Trench fever, also called 5-day fever or quintan fever, is caused by Bartonella quintana (Rochalimaea quintana).DiseaseAgentInsect vectorMammalian reservoir1. Typhus group a. Epidemic typhusR. prowazekiiLouseHumansb. Murine typhus (Endemic typhus)R. typhiFleaRodentsc. Scrub typhusR. tsutsugamushiMiteRodents2. Spotted fever group a. Indian tick typhusR.conoriiTickRodents, dogsb. Rocky mountain spotted feverR.rickettsiiTickRodents, dogsc. Rickettsial poxR. akariMiteMice3. Others a. Q feverC.burnetiiNilCattle, sheep, goats.b. Trench feverRocholimaca quintanaLouseHumans